All are true about uteroplacental circulation except -
1. Blood in the intervillous space is completely replaced 3-4 times per minute
2. The villi depend on the maternal blood for their nutrition
3. A mature placenta has 150 ml of blood in the villi system and 350 ml of blood in the intervillous space
4. Intervillous blood flow at term is 500 - 600 ml per minute

Correct answer: 3. A mature placenta has 150 ml of blood in the villi system and 350 ml of blood in the intervillous space

Explanation: Ans. is 'c' i.e., A mature placenta has 150 ml of blood in the villi system and 350 ml of blood in the intervillous space Uteroplacental Circulationo A mature placenta has a volume of about 500 ml of blood; 350 ml being occupied in the villi system and 150 ml lying in the intervillous space.o Intervillous blood flow at term is around 500 - 600 ml per minuteo The blood in the intervilllous space is completely replaced about 3-4 times per minute.o The villi depend on maternal circulation for nutrition, thus it is possible for the chorionic villi to survive for a varying period even after the fetus is dead.